A patient is brought to the hospital with history of A 8 hours back. A few drops of blood were noted at the external urethral meatus. He has not passed urine and his bladder is palpable per abdomen. What is the probable diagnosis
1. Ureteral injury with extravasations of urine in the retro peritoneum
2. Urethral injury
3. Rupture bladder
4. Anuria due to hypovolemia

Correct answer: 2. Urethral injury

Explanation: This patient is most probably having urethral injury. Urethral injury is usually associated with A. It is often associated with pelvic fractures. It is characterised by blood in external meatus, failure or difficulty in passing urine, extravasation of urine to scrotum, perineum and abdominal wall, shock. Extraperitoneal rupture of the bladder causes symptoms that are difficult to distinguish from those of rupture of the membranous urethra. There is pain, bruising and dullness to percussion above umbilicus. But in this case bladder cannot be distended and is not palpable per abdomen Reference : page 1051 SRB's manual of surgery 5th edition